Intermediate host for guinea worm ?
1. Fish
2. Man
3. Cyclops
4. Crab

Correct answer: 3. Cyclops

Explanation: Ans. is 'c' i.e., Cyclops